Treatment options for acne vulgaris is/are -
1. Dapsone
2. Oral Minocycline
3. Isotretinoin
4. All the above

Correct answer: 4. All the above

Explanation: Ans. is 'd' i.e., All the above Drugs used for the treatment of AcneTopicalComedolytics: Act by removing the follicular plug, thereby reopen pilosebaceous ostia. Comedolytics are; Retinoic acid, Adapalene, Azelaic acid, Tazarotene.Antibiotics: Decrease bacterial population and have an anti-inflammatory effect. Topical antibiotics for acne are; Erythromycin, clindamycin, Benzoyl peroxide:SystemicAntibiotics: Decrease bacterial population and have an anti-inflammatory effect. Systemic antibiotics for Acne vulgaris are; Tetracycline, minocycline, doxvcycline, Erythromycin, Roxithromycin, Cotrimoxazole, Dapsone.Retinoids :- Removes follicular obstruction, and also suppresses sebum secretion (Sebostatic).Antiandrogens: Decrease sebum secretion by decreasing androgens. Examples; Cyproterone, Ethinylestradiol, Spironolactone. Cyproterone acetate (along with efh inylestranol) is particularly useful in teenage girls with mensural irregularities.